Metaplasia arises from reprograming of
1. Stem cells
2. Stellate cells
3. Squamous cells
4. Columnar cells

Correct answer: 1. Stem cells

Explanation: Ans. (a) Stem cells(Ref: 9th/pg 36; 8th/pg 8)Mechanism of metaplasia: Reprogramming of stem cellsQ in normal tissues or of undifferentiated mesenchymal cells present in connective tissue.Q